The most commonly employed method for superficial, minimally invasive nodular Basal cell carcinoma (BCC)?
1. Topical 5-fluorouracil
2. Cryosurgery
3. Electro-desiccation and curettage
4. Mohs micrographic surgery

Correct answer: 3. Electro-desiccation and curettage

Explanation: All given options are used for Rx of BCC, but Electro-desiccation and curettage (ED&C) is most commonly employed method for superficial, minimally invasive nodular BCCs and low-risk tumors. Wide local excision is selected for invasive, ill-defined, and more aggressive sub types of tumors, or for cosmetic reasons. Mohs micrographic surgery (MMS), a specialized type of surgical excision, best method for tumor removal while preserving uninvolved tissue.